Which of the following is the characteristic pathological feature of Parkinson's disease?
1. Lewy bodies
2. Babes nodule
3. Neurofibrillary tangle
4. Negri bodies

Correct answer: 1. Lewy bodies

Explanation: Lewy bodies are inclusion bodies found within neurons in parkinson' s disease. Bodies are single or multiple, intracy- toplasmic, eosinophilic, round and elongated inclusions that often have a dense core surrounded by a pale halo. Ultrastructurally: These are composed of fine filaments densely packed in the core but loose at the rim. They are composed of a - synuclien, neurofilament antigens, parkin, and ubiquitin. Pathologic examination in parkinson's shows the following: Gross / macroscopically: pallor of the substantia nigra and locus coeruleus Microscopic examination: Loss of catecholaminergic neurons in these regions + gliosis Lewy bodies.